Non competitive inhibitor of carbonic anhydrase?
1. Allopurinol
2. Acetazolamide
3. Bimatoprost
4. Dipivefrine

Correct answer: 2. Acetazolamide

Explanation: Ans. is 'b' i.e., Acetazolamide Carbonic anhydrase inhibitors act by a non-competitive, reversible inhibition of the enzyme carbonic anhydrase.